All of the following are seen in acromegaly except:
1. Diabetes mellitus
2. Enlarged nose
3. Increased heel pad thickness
4. Muscle hypertrophy

Correct answer: 4. Muscle hypertrophy

Explanation: Ans. D: Muscle hypertrophy Symptoms of acromegaly: Carpal tunnel syndrome Decreased muscle strength (weakness), easy fatigue Enlarged bones of the face, large fleshy nose, enlarged feet and hands Soft tissue swelling resulting in increased heel pad thickness Enlarged glands in the skin (sebaceous glands) Enlarged jaw (prognathism) and tongue Excessive height (when excess growth hormone production begins in childhood) Excessive sweating Sleep apnea Widely spaced teeth Widened fingers or toes due to skin overgrowth with swelling, redness, and pain Other symptoms that may occur with this disease: Excess hair growth in females Weight gain (unintentional) Diabetes mellitus Coronary heart disease, cardiomyopathy with arrhythmia, hypertension are CVS effects.